Mode of action of fluoxetine -
1. GABA agonist
2. GABA antagonist
3. Inhibit uptake of 5-HT
4. Increase uptake of 5-HT

Correct answer: 3. Inhibit uptake of 5-HT

Explanation: Fluoxetine is a selective serotonin reuptake inhibitor.